Field defect seen in pituitary adenoma is -
1. Bitemporal hemianopia
2. Binasal hemianopia
3. Quadrantanopia
4. "Pie in sky" defect

Correct answer: 1. Bitemporal hemianopia

Explanation: The characteristic visual field defect in pituitary adenoma is bitemporal hemianopia due to central optic chiasma lesion. However in early stages qudrantanopia (superior: - Pie in sky or inferior: Pie on the floor) may also occur, but these are not characteristics.